Which of the following snake produces paralysis with convulsions -
1. Vipers
2. Sea Snakes
3. Cobra
4. Krait

Correct answer: 3. Cobra

Explanation: Types of venom -- may be * Neurotoxic -- cobra, krait * Hemotoxic -- vipers * Myotoxic -- sea snake NEUROTOXIC in krait,eventhough it is neurotoxic,there is no swelling or burning pain at the site of bite and convulsions are milder REF;THE SYNOPSIS OF FORENSIC MEDICINE:KS NARAYANA REDDY;28th EDITION